Fluctuating refractive errors with cataract are seen in -
1. Morgagnian cataract
2. Diabetic cataract
3. Intumescent cataract
4. Traumatic cataract

Correct answer: 2. Diabetic cataract

Explanation: In diabetic cataract a large number of fluid vacuoles appear under the anterior and posterior parts of the capsule, initially manifesting as myopia and then producing a diffuse opacity.